A 6 year old child who was not taken any vaccination presented with acute membranous conjunctivitis. Which of the following is TRUE about acute membranous conjunctivitis?
1. Easy to peel
2. If you peel, bleeding can occur
3. Diphtheria causes false membrane
4. Membrane can not be removed

Correct answer: 2. If you peel, bleeding can occur

Explanation: Acute membranous conjunctivitis: It is an acute inflammation of the conjunctiva, characterized by formation of a true membrane on the conjunctiva. The disease is typically caused by Corynebacterium diphtheriae. This organism produces a violent inflammation of the conjunctiva, associated with deposition of fibrinous exudate on the surface as well as in the substance of the conjunctiva resulting in formation of a thick, grey-yellow membrane. The membrane is tough and firmly adherent to the conjunctiva, which on removing bleeds and leaves behind a raw area. Ref: Ophthalmology By A. K. Khurana, 3rd edition, Page 86.